Nerve supply of cricothyroid?
1. Recurrent laryngeal nerve
2. Internal laryngeal nerve
3. External laryngeal nerve
4. Mandibular nerve

Correct answer: 3. External laryngeal nerve

Explanation: External laryngeal nerve